"Elschnig Pearl" in papillary aperture is a sign of
1. Acute iridocylitis
2. Pseudoexfoliation syndrome
3. After-cataract
4. Secondary cataract

Correct answer: 3. After-cataract

Explanation: Ans. c (After cataract) (Ref. Basak, Ophthalmology, 2nd ed., 182)AFTER CATARACT# Posterior capsular opacification following ECCE & discission of congenital/traumats cataract.# More common in children# Elschning's pearl (Balloon lens-cell)# Soemerring's ring (Ring behind iris formed by lens fibers)# Treatment:- Discission or needling- Capsulotomy/membranectomy Nd-YAG Laser capsulotomy (safe, noninvasive & quick OPD procedure)